Moist heat burn which is present ?
1. Charring
2. Blister
3. Ulcer
4. Slough

Correct answer: 2. Blister

Explanation: .blisters are characteristic of moist burn